Idazoxan is a (REPEAT)
1. Alpha 1 agonist
2. Alpha 1 blocker
3. Alpha 2 blocker
4. Alpha 2 agonist

Correct answer: 3. Alpha 2 blocker

Explanation: Yohimbine, idazoxan -selective alpha 2 blockers.